Most commonly seen in MEN 1?
1. Insulinoma
2. Gastrinoma
3. Glucagonoma
4. Somatostatinoma

Correct answer: 2. Gastrinoma

Explanation: Ans. is b' i.e., Gastrinoma Amongst the options provided Gastrinomas are the most common association with MEN I.